Which of the following types of neuropathy are seen in Diabetes
1. Distal symmetric sensory neuropathy
2. Autonomic neuropathy
3. Mononeuropathy
4. All of the above

Correct answer: 4. All of the above

Explanation: Answer is D (All of the above): Diabetic neuropathy may be of several types including distal symmetric sensory neuropathy, autonomic neuropathy and diabetic manoneuropathy Diabetic Neuropathy Diabetes Meelitus is the most common cause of peripheral neuropathy in developed countries Diabetes is associated with several types of Neuropathy Distal symmetric sensory or sensorimotor polyneuropathy (DSPN) Autonomic Neuropathy Diabetic Radiculoplexus Neuropathy (diabetic amyotrophy or Brunse Garland syndrome) Diabetic mononeuropathies or multiple mononeuropathies Diabetic Distal Symmetric Sensory and Senorimotor Polyneuropathy (DSPN) is the most common form of diabetic polyneuropathyQ The most common diabetic mononeuropathy at wrist is median nettropathyQ The most common diabetic mononeuropathy at the elbow is ulnar mononeuropathyQ The most common diabetic cranial mononeuropathy is VIIth nerve palsyQ (Followed by third nerve, sixth nerve and less frequently fourth nerve)